Which of the following is not a hereditary disease?
1. Neurofibromatosis
2. Cretinism
3. Huntingtons disease
4. Hereditary spherocytosis

Correct answer: 2. Cretinism

Explanation: Ans. is 'b' i.e., Cretinism Cretinism :? Cretinism is a condition of severely stunted physical and mental growth due to untreated congenital deficiency of thyroid hormones (congenital hypothyroidism) usually due to maternal hypothyroidism. Thus cretinism is a non hereditary condition.